Loading of dose of a drug primarily depends on:
1. Volume of distribution
2. Clearance
3. Rate of administration
4. Half life

Correct answer: 1. Volume of distribution

Explanation: Ans. A. Volume of distributionLoading dose is dependent on volume of distribution; whereas maintenance dose depends on the clearance.Loading doseMaintenance dose* It is the initial high dose which is given to achieve the desired plasma concentration after saturating (loading) the tissue binding sites.* Just enough drug is given in each dose to replace the drug eliminated* When time to reach steady state is long, as it is for drugs with long half-lives, it is desirable to give a loading dose that promptly raises the concentration of drug in plasma * LD=Vdx Desired plasma concentration (mg/L)* MD = Clearance x Desired plasma concentration (mg/L)